Which of the following has proved antithrombotic property :
1. Gelatin
2. Dextran 40
3. Dextran 100
4. Hexastarch

Correct answer: 2. Dextran 40